Most common cause of infant mortality?
1. LBW
2. Injury
3. RTA
4. Tetanus

Correct answer: 1. LBW

Explanation: Ans. is 'a' i.e., LBW